All of the following are true for the Adie's tonic pupil except
1. Light reflex is present
2. It is usually unilateral
3. The affected pupil is larger
4. Near reflex is very slow and tonic

Correct answer: 1. Light reflex is present

Explanation: Adie's tonic pupil In this condition reaction to light is absent and to near reflex is very slow and tonic. The affected pupil is larger (anisocoria). Its exact cause is not known. It is usually unilateral, associated with absent knee jerk and occurs more often in young women. Ref:- A K KHURANA; pg num:-293